Fluid intake by a 8 kg boy should be:
1. 700 ml
2. 800 ml
3. 900 ml
4. 1mL

Correct answer: 2. 800 ml

Explanation: Ans. B: 800 ml Guidelines for maintenance fluid requirements: For weight less than 10 kg: 100 ml/kg, e.g. an 8 kg child receives 800 ml/day. For weight 10-20 kg: 100 ml/kg/d for the first 10 kg (1000 ml) + 50 ml/ kg/ d for every kg above 10 kg. For weight above 20 kg: 100 ml/kg/d for the first 10 kg (1000 ml) + 50 ml/kg/d for every kg above 10 kg (500 ml) + 20 ml/kg/d for every kg above 20 kg.